Auditory fatigue occurs at ----Hz-
1. 2000
2. 3000
3. 4000
4. 8000

Correct answer: 3. 4000

Explanation: Auditory fatigue appears in the region of 90dB and greatest at 4000 Hz. It may be associated with side effects such as whistling and buzzing in the ears. Temporary hearing loss at 4000-6000 Hz. (PARK TB 23rd edition pg 742)